Ollendroff sign is seen in –
1. Primary syphilis
2. Secondary syphilis
3. Latent syphilis
4. Neurosyphilis

Correct answer: 2. Secondary syphilis

Explanation: There is deep dermal tenderness on application of pressure in secondary syphilis. This is known as an Ollendorff sign or Buschke ollendroff sign.